Gamma efferent system is involved in
1. Tendon reflex
2. Clonus
3. Muscle tone
4. All of the above

Correct answer: 4. All of the above

Explanation: (D) All of the above # Motor neurons of y efferent system are regulated to a large degree by descending tracts from a number of areas in the brain.> Golgi tendon organs, are stimulated by both passive stretch and active contraction of the muscle.> The muscles are generally hypotonic when the rate of y efferent discharge is low and hypertonic when it is high.> Increased y efferent discharge is present is inclonus> Ankle clonus is atypical example.